Through which of the following parts of nasal cavity does the main current of airflow occur during inspiration?
1. Through olfactory area
2. Superior part of the cavity in the superior meatus
3. Middle part of the cavity in middle meatus in a parabolic curve
4. Lower part of the cavity in the inferior meatus in a parabolic curve

Correct answer: 3. Middle part of the cavity in middle meatus in a parabolic curve

Explanation: Airflow through the nose is a result of pressure difference created by a negative pressure gradient generated by the expanding intrathoracic volume during inspiration. Majority of air flows through the middle meatus of the nasal cavity and takes a parabolic curve, as the airflow curves inferiorly as it passes through the choanae into the nasopharynx.